Indirect pulp capping procedures on primary molars are
indicated when:
1. Removal of decay has exposed the pulp
2. A tooth has a Larger long-standing lesion with a history of continuous pain
3. The carious lesion has just penetrated the dentinoenamel junction
4. The carious lesion is suspected of producing an exposure of the pulp

Correct answer: 4. The carious lesion is suspected of producing an exposure of the pulp